Hernia with hydrocele is ---hernia:
1. Gibbon's
2. Fruber's
3. Dobson's
4. Leobel's

Correct answer: 1. Gibbon's

Explanation: Gibbon's hernia Hernia with hydrocele Berger's hernia Hernia into pouch of Douglas Beclard's hernia Femoral hernia through opening of saphenous vein Amyand's hernia Inguinal hernia containing appendix Ogilve's hernia Hernia through the defect in conjoint tendon just lateral to where it inserts with the rectus sheath Stammer's hernia Internal hernia occurring through window in the transverse mesocolon after retrocolic gastrojejunostomy Peterson hernia Hernia under Roux limb after Roux - en - Y gastric bypass Valpeau hernia Hernia in front of femoral vessels Holthouse hernia Inguinal hernia with extension of the loop of intestine along inguinal ligament